Drug causing cataract-
1. Amikacin
2. Dexamethasone
3. Chloramphenicol
4. Penicillin

Correct answer: 2. Dexamethasone

Explanation: Ans. is ;b' i.e., Dexamethasone o Corticosteroids (dexamethasone) can cause cataract.Types of CataractCausesPosterior subcapsularMyotoic dystrophy, wilson's disease, DM, Atopic dermatitis, Down's syndrome, Corticosteroids, Busulfan, Chloroquine, Trauma, Ionizing radiation, Galactosemia, Senile cataract, Infrared/heat cataract (glass-blower's or glass worker).Anterior subcapsularWilson's disease, DM, Down's syndrome, Trauma, Electric shock, Anticholinesterase, Amiodarone, Senile cataract, Galactosemia.Anterior capsularVoissious ring (Blunt trauma), Gold, Chlorpramazine,NuclearCigarette smoking, Congenital rubella, Ichthyosis, Galactosemia, Senile cataract, DM.CorticalStickler syndrome, Senile cataract, DMAnterior capsular (Polar)Penetration of cornea (Penetrating injury, ophthalmia neonatorum), Congenital cataractPosterior capsular (Polar)Congenital cataract